Secondary syphilis is manifested by – a) Painless lymphadenopathyb) Pruritic rashc) Mucosal erosiond) Asymptomatic rashe) Mostly asymptomatic
1. bce
2. bde
3. acde
4. abde

Correct answer: 3. acde

Explanation: Most common manifestation of syphilis is rash. Rash is usually bilaterally symmetrical macule which is non-pruritic and asymptomatic. The rash may also be papule, papulosquamous or papulopustular.
There may be associated non-tender (non-painful) lymphadenopathy.
Mucous patches (superficial mucosal erosions) may be seen on oral or genital mucosa.
the important feature is condyloma lata.